Two weeks later, the results of the patient's prenatal labs come back. Her blood type is A, with an antl D antibody titer of 1:4. What Is the most appropriate next step In the management of this patient?
1. Schedule an amniocentesis for amniotic fluid bilirubin at 16 weeks
2. Repeat titer in 4 weeks
3. Repeat titer in 28 weeks
4. Schedule PUBS to determine fetal hematocrit at 20 weeks

Correct answer: 2. Repeat titer in 4 weeks

Explanation: Indirect coomb's test If the ICT is positive it should be repeated in dilution to find the Antibody titre.The critical titre for anti D antibodies is 1:16.If the titre is less than 1:16 it may be repeated 2 weekly.It is possible to do a immunoassay for anti D antibodies.The safe level is <4IU/ml.This is useful only in first sensitised pregnancy TEXTBOOK OF OBSTETRICS, SHEILA BALAKRISHNAN ,Pg no:311,2nd edition